Daily loss of Iron per day in a healthy adult male is
1. 0.06 mg
2. 0.6 mg
3. 60 mg
4. 600 mg

Correct answer: 2. 0.6 mg